Ulcerative colitis starts in :
1. Descending colon
2. Transverse colon
3. Caecum
4. Rectum

Correct answer: 4. Rectum

Explanation: Ans. is 'd' i.e. Rectum